Deposition of protein 'A b 2m' is seen in which clinicopathologic category of amyloidosis-
1. Familial mediterranean fever
2. Hemodialysis associated
3. Senile cerebral
4. Systemic senile

Correct answer: 2. Hemodialysis associated

Explanation: harshmohan textbook of pathology 7th edition. *Familial Mediterranean fever -AS type. *senile cerebral- A beta. *systemic senile-amyloid transthyretin.